The "Crude death rate" is defined as "the number of deaths (from all causes) per 1000 estimated".
1. Total population
2. Total births
3. Mid year population
4. Live births

Correct answer: 3. Mid year population

Explanation: (C) Mid year population # Crude death rates lack comparability for communities with populations that differ by age, sex, race etc.> Crude Death Rate: Number of deaths /1000 population/year in a given community deglt indicates the rate at which people are dying The usefulness of Crude death rate is restricted because it is influenced by the age-sex composition of the population